The most common form of PSVT?
1. Tachycardia originating from the atrium
2. AV nodal reentry tachycardia
3. WPW syndrome
4. Focal atrial tachycardia

Correct answer: 2. AV nodal reentry tachycardia

Explanation: Pathologic supraventricular tachycardia A. Tachycardia originating from the atriumDefining feature: tachycardia may continue despite beats that fail to conduct to the ventricles, indicating that the AV node is not participating in the tachycardia circuitB. AV nodal reentry tachycardiaDefining feature: paroxysmal regular tachycardia with P waves visible at the end of the QRS complex or not visible at allThe most common paroxysmal sustained tachycardia in healthy young adults; more common in womenC. Tachycardias associated with accessory atrioventricular pathwaysDefining feature: paroxysmal sustained tachycardia similar to AV nodal reentry; during sinus rhythm, evidence of ventricular preexcitation may be present (Wolff-Parkinson-White syndrome) or absent (concealed accessory pathway)Harrison 19e pg: 1476